Findings of BERA in vestibular schwannoma:-
1. Increased latency in waves I-V
2. Decreased latency in waves I-V
3. Increased latency in waves VI-VII
4. Decreased latency in waves VI-VII

Correct answer: 1. Increased latency in waves I-V

Explanation: In vestibular schwannoma, there is increased latency in wave 1 -5 Waves of BERA: ERT- wave 1: Distal part of 8th nerve. ERT- wave 2: Proximal part of 8th nerve. CRT- wave 3: Cochlear nucleus ORT- wave 4: Superior Olivery complex LRT- wave 5: Lateral leminiscus - Largest wave - Most stable - Produced at 5.5 ms after the stimulus RTI- wave 6 & 7: Inferior colliculus